Temperature used in Pasteurization is:
1. 72 for 20 min
2. 63 for 30 min
3. 100 for 10 min
4. 94 for 20 min

Correct answer: 2. 63 for 30 min

Explanation: In Pasteurization, the milk is heated at either 63 for 30 min (holder method) or 72 for 15-30 sec followed by rapid cooling (flash process). Pasteurization of milk is an example of sterilization by moist heat. Pasteurization of milk (Sterilization by Moist heat): Low temperature-Long time Method (LTLT) High temperature short time (HTST) Involves heating the milk to 63oC (144.5oF) and holding this for 30 minutes Involves heating the milk to 72oC (161.5oF) This method is typically used by milk banks which perform either the Holder method of pasteurization or the similar Vat method of pasteurization This process involves heating the milk faster and to a higher temperature than used with the Holder and Vat methods, and holding this for only a few seconds. Ultra-high temperature (UHT) method Involves heating the milk at a temperature of 138oC or 280oF and holding it for atleast two seconds. Milk labelled ultra-pasteurized or UHT must be treated with the UHT method By these processes all non-sporing bacteria such as Mycobacteria, Brucella and Salmonella are destroyed. Coxiella Brunetti is relatively heat resistant and may survive the holder method. Ref: Ananthanarayan and Panicker 10th edition 'Pgno: 30